A. 25year old woman with a obstetric score of G2P1L1 at 8 weeks with RhD negative and a non sensitized pregnancy had a spontaneous complete miscarriage. what is the dose of anti D Ig to be given to the women?
1. Anti d not required
2. 250iu
3. 500iu
4. Quantity of fetomaternal bleed should be tested before giving anti d

Correct answer: 1. Anti d not required

Explanation: * Risk of immunization by spontaneous complete miscarriage before 12weeks without any need for evacuation of products is negligible, hence ant D Ig is not required * There is evidence that significant fetomaternal haemorrhage occurs after cuettage of products but not in spontaneous complete miscarriage * Anti D Ig should be given to all non sensitized RhD negative women who had a spontaneous miscarriage or incomplete miscarriage after 12weeks of pregnancy * Dosage of Anti D to be given : 250iu before 20weeks and 500iu therafter Reference: Greentop guidelines no 22